Which vitamin is required for the rate-limiting step of heme synthesis:
1. Vitamin B1
2. Vitamin B2
3. Vitamin B3
4. Vitamin B6

Correct answer: 4. Vitamin B6

Explanation: The rate-limiting step of heme synthesis is catalysed by ALA synthase This condensation reaction requires Pyridoxal phosphate (Vitamin B6) as a cofactor. This is why vitamin B6 deficiency leads to sideroblastic anemia.